Pasteur effect is
1. Inhibition of glycolysis by oxygen
2. Inhibition of glycolysis due to absence of oxygen
3. Reversible reaction of glycolysis
4. Acceleration of glycolysis by oxygen

Correct answer: 1. Inhibition of glycolysis by oxygen